Nail are involved in
1. Pemphigus
2. Pemphgoid
3. Psoriasis
4. Dermatitis Herpetiformis

Correct answer: 3. Psoriasis

Explanation: C i.e. Psoriasis